In tuberculous meningitis, the exudates tends to be most severe:
1. Over the frontal regions of the brain
2. At the base of the brain
3. Around the cerebellum
4. In the ventricles

Correct answer: 2. At the base of the brain

Explanation: In tuberculous meningitis, the greatest degree of meningeal involvement and collection of exudates is around the brainstem and at the base of the brain. This is important because it can lead either to involvement of the cranial nerves or to obstruction of the basal cisterns and hydrocephalus, both of which are seen commonly in this condition. Ref: Ropper A.H., Samuels M.A. (2009). Chapter 32. Infections of the Nervous System (Bacterial, Fungal, Spirochetal, Parasitic) and Sarcoidosis. In A.H. Ropper, M.A. Samuels (Eds), Adams and Victor's Principles of Neurology, 9e.